An HIV patient complains of visual disturbances. Fundal examination shows bilateral retinal exudates and perivascular haemorrhages. Which of the following viruses are most likely to be responsible for this retinitis-
1. Herpes simplex
2. Varicella zoster
3. Cytomegalovirus
4. EBV

Correct answer: 3. Cytomegalovirus

Explanation: This is a typical feature of Cytomegalovirus (CMV) retinitis. Pizza pie appearance of fundus in CMV retinitis.(In HIV +ve patient, if CD4+ count is <50 cells/ microlitre) Herpes simplex- type 1 : conjuctivitis and corneal ulceration. Varicella zoster-corneal ulcer and zoster opthalmicus. EBV- not associated with retinitis.